Which of the following distension media used in hysteroscopy causes fluid overload and electrolyte disturbances
1. Carbondioxide
2. Glycine
3. Hyskon
4. Ringer Lactate

Correct answer: 2. Glycine

Explanation: Glycine is absorbed from uterine cavity and peritoneum and lead to fluid overload and electrolyte disturbances.